A lady died due to unnatural death within seven years after her marriage. The inquest in this case will be done by
1. Forensic medicine expert
2. Deputy Superintendent of Police
3. Sub-divisional Magistrate
4. Coroner

Correct answer: 3. Sub-divisional Magistrate

Explanation: C i.e. Sub divisional magistrate